Semicircular canal involved in Positive Romberg test with eyes closed detects defect in -
1. Proprioceptive pathway
2. Cerebellum
3. Spinothalmic tract
4. Peripheral nerve

Correct answer: 1. Proprioceptive pathway